Drug of choice for treatment of infection caused by methicillin resistant Staphylococcus aureus is ?
1. Macrolides
2. Third generation cephalosporins
3. Carbapenems
4. Glycopeptides

Correct answer: 4. Glycopeptides

Explanation: Ans. is 'd' i.e., Glycopeptides o Vancomycin is a glycopeptide and is drug of choice for MRSA. Remember, no beta lactam is effective against MRSA.